Regarding Congenital torticollis - all of the following are TRUE EXCEPT:-
1. Always caused by breech
2. Spontaneous resolution in most cases
3. Untreated can lead to plagiocephaly
4. Palpable Sternocleidomastoid tumor

Correct answer: 1. Always caused by breech

Explanation: Injury to the sternocleidomastoid muscle particularly seen during a breech delivery leads to turning of the head towards the side of injury i.e. Torticollis. Other causes could be congenital anomaly of craniovertebral junction, klippel-feil syndrome, sternocleidomastoid tumor, postural torticollis etc. As the neck lengthens in the process of normal growth, the head is gradually turned toward the side of the injury The term tumor is a misnomer because most commonly it is congenital fibrosis within the muscle